A patient of depression is stabilized on selective in reuptake inhibitor (SSRI). This group of drugs produced withdrawal Symptoms when stoppe(d) Which of the following drugs has minimum risk of causing drug discontinuation symptoms?
1. Paroxetine
2. Fluoxetine
3. Sertraline
4. Fluvoxamine

Correct answer: 2. Fluoxetine

Explanation: Fluvoxamine and paroxetine produce discontinuation reaction than with other SSRIs. Fluoxetine produces slower onset of anti depressant effect hence less did continuation symptoms. REF: KD TRIPATHI 8TH ED.